Stage 1 cutaneous T cell lymphoma treatment is -
1. PUVA
2. Biological response modifiers
3. Systemic chemotherapy
4. Extracorporial photopheresis

Correct answer: 1. PUVA

Explanation: Potent topical corticosteroids . Narrow band UVB . Psoralens+ PUVA is the treatment. Systemic chemotherapy and biological response modifiers are used in stage 3. From illustrated synopsis of dermatology and sexually transmitted diseases neena khanna 5th edition page no 406